Denominator of infant mortality rate is?
1. Per live birth
2. per 100 live births
3. Per 1000 live births
4. Per lakh live births

Correct answer: 3. Per 1000 live births

Explanation: Ans. (c) Per 1000 live birthsRef: Park 20thed./488